Read the following carefully:
1) Spheno-occipital synchondrosis
2) Mandibular condyle
3) Frontomaxillary suture
4) Nasal septum
5) Alveolar processs
Which of the following are sites of cartilaginous growth postnatally?
1. 1 & 2
2. 1, 2 & 4
3. 2, 3 & 5
4. 3 & 5

Correct answer: 2. 1, 2 & 4

Explanation: The spheno-occipital synchondrosis, mandibular condyle, nasal septum are components of the cartilaginous growth. 
Nasal septum and alveolar bone are not cartilaginous type of bone.